LGV is caused by
1. Chalamydia trachomatis
2. Haemophylus ducrei
3. HTLV type II
4. Donovanosis granulomatis

Correct answer: 1. Chalamydia trachomatis

Explanation: LGV is caused by chlamydia trachomatis, serotypes, L1, L2, L3.